"Target material" which produces X-rays in a diagnostic X-rays tube is made of:
1. Lead
2. Tungsten
3. Cobalt
4. Copper

Correct answer: 2. Tungsten

Explanation: Ans. Tungsten